Ovarian art is a br. of :
1. Abdominal aorta
2. Anterior iliac artery
3. Common iliac artery
4. Posterior iliac artery

Correct answer: 1. Abdominal aorta

Explanation: Ans. is 'a' i.e. Abdominal aorta Remember :Ovarian artery is a branch of abdominal aorta*Uterine artery is a branch of internal iliac artery (ant. division) *